Hypertonic urine is excreted due to absorption of water in
1. Collecting ducts
2. DCT
3. Ascending part of loop of Henley
4. Descending part of loop of Henley

Correct answer: 1. Collecting ducts

Explanation: Concentrated urine is formed due to the reabsorption of water in collecting ducts.